Keyhole sign is seen in
1. Polycystic kidney disease
2. Renal agenesis
3. Ureteropelvic junction obstruction
4. Bladder outlet obstruction

Correct answer: 4. Bladder outlet obstruction

Explanation: Distal obstruction of the urinary tract is more frequent in male fetuses, and the most common etiology is posterior urethral valves. Characteristically, there is dilatation of the bladder and proximal urethra, termed the"keyhole" sign, and the bladder wall is thick (Ref: William's Obstetrics; 25th edition)